Pseudo pelade is synonym of -
1. Alopeciasteatoides
2. Premature alopecia
3. Traction
4. Cicatricial alopecia

Correct answer: 4. Cicatricial alopecia

Explanation: D. i.e. Cicatrical alopecia